Which is the smallest fundamental unit coding for protein synthesis
1. Cistron
2. Operon
3. Replican
4. Anticodon

Correct answer: 1. Cistron

Explanation: Cistron is the smallest unit of genetic expression that codes for one polypeptide chain.